So the following heme degradation products in order of production: a. Protoporphyrin b. Urobillinogen c. Bilirubin d. Biliverdin
1. a,c,d,b
2. b,d,c,a
3. a,d,c,b
4. b,c,d,a

Correct answer: 3. a,d,c,b